Singer's nodule is mostly seen at:
1. Junction of ant 2/3 and post 1/3 vocal cords
2. Junction of ant 1 /3 and post 2/3 vocal cords
3. Middle of ant 1 /3 and 2/3 vocal cords
4. Anywhere

Correct answer: 2. Junction of ant 1 /3 and post 2/3 vocal cords

Explanation: ocal cord lesions, also known as vocal fold lesions, are benign (noncancerous) growths that include nodules, polyps, and cysts. Vocal cord nodules, sometimes called singer's nodules or nodes, result from repetitive overuse or misuse of the voice. These callous-like growths develop in the midpoint of the vocal folds. Most common location of vocal nodule is Junction of ant 1 /3 and post 2/3 vocal cords.